Structure present superficial to BICIPITAL APONEUROSIS is:
1. Brachial Artery.
2. Radial Nerve
3. Median Nerve.
4. Median cubital vein

Correct answer: 4. Median cubital vein

Explanation: Ans. D. Median cubital veinThe bicipital aponeurosis is a broad aponeurosis of the biceps brachii which is located in the cubital fossa of the elbow and separates superficial from deep structures in much of the fossa. The bicipital aponeurosis originates from the distal insertion of the biceps brachii. While the tendon of the biceps inserts on the radial tuberosity, the aponeurosis reinforces the cubital fossa, and helps to protect the artery and the median nerve running underneath. Median cubital vein lies superficial to bicipital aponeurosis.